What is the dose of zinc in diarrhea in a one year old child?
1. 10 mg/day for 2 weeks
2. 10mg/day for 4 weeks
3. 10mg/day for 6 weeks
4. 20 mg/day for 2 weeks

Correct answer: 4. 20 mg/day for 2 weeks

Explanation: The dose for treatment of zinc deficiency is 10mg/day for 14 days for infant 2-6 months of age and 20mg/day for 14 days for older than 6 months.(Refer: Nelson's Textbook of Pediatrics, SAE, 1st edition, pg no. 1872 - 1873)